True about Dyskeratosis congenita -a)  Pancytopeniab)  Nail dystrophyc)  Hyperkeratosisd)  X linkede)  Leukoplakia
1. abcd
2. bcde
3. acde
4. abde

Correct answer: 4. abde

Explanation: Dyskeratosis congenita

It is characterised by mucous membrane leukoplakia, dystrophic nails, reticular hyperpigmentation and the development of aplastic anemia during chidhood.
The X-linked variety is due to mutations in the DKC1 (dyskeratin) gene; the more unusual autosomal dominant type is due to the muatation in hTERC, which encodes an RNA template, and hTERT, which encodes the catalytic reverse transcriptase, telomerase; these gene products cooperate in a repair complex to maintain telomere length.
Clinical features associated with dyskeratosis congenita are :-
Skin pigmentary abnormalities      
Nail dystrophy                    
Leukoplakia
Epiphora  
Cognitive/develpomemt delay
Pulmonay disease
Dental carries/tooth loss     
Esophageal stricture
Hair loss/grey hair / sparse eyelashes 
Hyperhydrosis                       
Intrauterine growth retardation